A 2 year old child is brought to the emergency with complaints of cough and coryza since 2 days. He was having noisy breathing which has now increased. The child is restless and agitated and has stridor at rest. He is having marked tachypnea and is also having chest retractions. His oxygen saturation is <92% on room air. What would be his severity of disease?
1. Mild
2. Moderate
3. Severe
4. Very severe

Correct answer: 3. Severe

Explanation: Ans. C. SevereThe above clinical picture is that of Croup or laryngotracheobronchitis. Its severity can be classified as mild, moderate and severe. In mild croup, child is happy, feeds well and is interested in surroundings. He has strider only on crying and coughing , has no distress and oxygen saturation is >92%. In moderate croup, child is irritable but can be comforted. Child has stridor at rest and has tachypnea and chest retractions. Oxygen saturation on room air is >92%.